Which of the following bacteria is associated with bright red fluorescence under UV light?
1. Prevotella melaninogenica
2. Porphyromonas gingivalis
3. Pseudomonas pyocyanea
4. Yersinia pestis

Correct answer: 1. Prevotella melaninogenica

Explanation: Ans: A (Prevotella melaninogenica) Ref:Ananthanarayan, 7th ed, p. 269 Examination of prevotella melaninogenica coming under bacteroids species shows bright red fluorescence under ultraviolet light. Porphyromonas gingivalis also coming under bacteroids sp is responsible for periodontal disease. Pseudomonas also produce a number of pigments like pyocyanin and flourescein, but bright red fluorescence under UV light is not present.